Carrion's disease is caused by:
1. Bartonella henselae
2. Bartonella quintana
3. Bartonella bacilliformis
4. Bartonella washoensis

Correct answer: 3. Bartonella bacilliformis

Explanation: Carrion's disease is also known as Bartonellosis which is caused by Bartonella bacilliformis. Bartonella quintana causes Trench fever, chronic bacteremia, bacillary angiomatosis and endocarditis Bartonella henselae causes Cat-scratch disease, bacillary angiomatosis, bacillary peliosis, bacteremia and endocarditis Bartonella washoensis causes Myocarditis and meningitis. Ref: Harrisons principles of internal medicine, 18th edition, Page: 1314.